High infectivity in Hepatitis infection is shown by:
1. HBsAg positive
2. HBcAg positive
3. HBeAg positive
4. IgM anti HBc

Correct answer: 3. HBeAg positive

Explanation: Ans: c (HBeAg positive) Ref: Ananthanarayanan, 7th ed, p. 555HBsAg positive - Indicates HBV infection- First virological marker detectableHBsAg positive; IgM Anti HBc positiveHBsAg positive; IgG Anti HBc positiveHBeAg positiveHBVDNAAnti HBsAg positive; Anti HBc negativeAnti HBsAg positive; IgG Anti HBc cpositive- Active infection- Remote infection- High infectivity, Qualitative marker of replication- Quantitative marker of replication- Vaccination- Recovery phase